Bioactive glass is a:
1. Isograft
2. Xenograph
3. Allograft
4. Alloplast

Correct answer: 4. Alloplast